Commonest part of subclavian artery to be affected by Stenosis is:
1. First part
2. Second part
3. Third part
4. Equally affected

Correct answer: 1. First part

Explanation: MC site of subclavian artery Stenosis is the first part of the subclavian artery.